Which dietary vitamin is required for transaminase reactions?
1. Thiamine
2. Folic acid
3. Pyridoxine
4. Cyanocobalamin

Correct answer: 3. Pyridoxine

Explanation: Pyridoxal phosphate participates in transamination by cycling between the pyridoxal and pyridoxamine forms. Thiamine is a cofactor for transketolase and the -ketoacid dehydrogenases. Folate functions in single carbon transfer reactions. Vitamin B12 functions in methionine synthase and methylmalonyl CoA mutase.